A patient has the ability to stand with open eyes but falls with closed eyes. A lesion of which pathway is likely responsible for this symptom?
1. Anterior spinocerebellar tract
2. Anterior spinothalamic tract
3. Lateral spinothalamic tract
4. Posterior column syndrome

Correct answer: 4. Posterior column syndrome

Explanation: Posterior column syndrome(lesion in dorsal coloumn of spinal cord) results in a sensory deficit known as sensory dystaxia or Romberg sign. Romberg +ve when pt. are able to stand with the eyes open but fall with the eyes closed.